Defect in Menke disease:
1. Lysyl hydroxylase
2. Lysyl oxidase
3. Prolyl hydroxylase
4. Prolyl oxidase

Correct answer: 2. Lysyl oxidase

Explanation: MENKE DISEASE / kinky OR STEEL HAIR SYNDROME- deficiency of copper results in defective crosslinking of collagen and elastin by the copper-dependent enzyme lysyl oxidase. Defect in dietary absorption of copper Die with in 5 years of age Kinky hair and growth retardation. menke disease is X linked disease due to mutation in ATP 7 A gene. This gene is present on Xp 12-13.